Most common surgical cause of obstructive jaundice:
1. Periampullary carcinoma
2. Carcinoma gallbladder
3. Carcinoma head of pancreas
4. CBD stone

Correct answer: 4. CBD stone

Explanation: Obstructive Jaundice MC surgical cause of obstructive jaundice is CBD stones Characterized by dark urine, clay colored stools, icterus and pruritus Presence of urobilinogen in urine rules out obstructive jaundice USG is the best test to differentiate medical from surgical jaundice.